Investigation of choice in DVT is
1. Venogram
2. Color doppler
3. Plethysmography
4. X-ray

Correct answer: 2. Color doppler

Explanation: Deep vein thrombosis Also known as phlebothrombosis. It is a semisolid clot in the vein which has got high tendency to develop pulmonary embolism and sudden death. Common site of beginning is soleal veins . Investigation:- 1. Venous doppler- investigation of choice 2. Duplex scanning- it shows non compressible vein which is wider than normal. 3. Venogram- 4. Radioactive iodine fibrinogen study 5. Haemogram with platelet count 6. Ventilation Treatment:- 1. Rest, elevation of limb and bandaging the entire limb with crepe bandage. 2. Anticoagulants- heparin, low molecular weight heparin, warfarin. 3. Low molecular weight heparin is preferred to heparin. 4. Initially high doses of heparin of 25,000 units/ day for 7 days is given. 5. Warfarin should be started as early as possible on the same day as heparin. 6. Oral anticoagulants being teratogenic cannot be used during pregnancy. {Reference: SRB's manual of surgery, 5th edition , page no. 225}